The Denar articulator belong to
1. Class II-A
2. Class I
3. Class III-B
4. Class IV

Correct answer: 4. Class IV